All of the following are features of mycobacterium tuberculosis, except :
1. Non spore forming
2. Aerobic bacterium
3. Measures 0.5-3 micon m
4. Gram stain as gram positive

Correct answer: 4. Gram stain as gram positive

Explanation: M.Tuberculosis is often neutral on gram staining. Once stained it can be decolorised by acid alcohol. Reference: Harrisons Principles of Internal Medicine, 18th Edition, Page 134